Hepatic encephalopathy is predisposed by -
1. G.I bleeding
2. Dehydration
3. Constipation
4. All the above

Correct answer: 4. All the above

Explanation: Davidson's principles and practice of medicine 22nd edition. *factors precipitating hepatic encephalopathy-drugs (sedatives,antidepressants) *dehydration *poo-systemic haunting. *infections *hypokalemia *constipation *increased protein load.